Progressive transformation of germinal centers (PTGC) is a precursor lesion of -
1. Hodgkins lymphoma, nodular sclerosis
2. Hodgkins lymphoma, mixed cellularity
3. Hodgkins lymphoma, lymphocytic predominant
4. Peripheral T cell lymphoma

Correct answer: 3. Hodgkins lymphoma, lymphocytic predominant

Explanation: Lymphocytic predominance contains lymphocytic and histiocytic (L and H) variant. Thesse variants express B cell markers typical of germinal centre B cells. The IgH genes of L and H variant show evidence of ongoing somatic hypermutation,a modification that occurs only in germinal centre B cells. In 3%to5% of cases this type transforms in to a tumour resembling diffuse large B cell lymphoma. Reference; Robbins and Cotran Pathologic basis of disease.South Asia Edition volume 1.page no. 609,610